Most common tumor in hand -
1. Exostosis
2. Giant cell tumor
3. Enchondroma
4. Synovial sarcoma

Correct answer: 3. Enchondroma

Explanation: "Enchondromas are most common type of hand tumor". -- Orthopaedics oncology.

Phalanges of hand are involved most commonly and the proximal phalanx is the most common site.